Fatal complication of sodium polystyrene sulfonate
1. Cardiac arrest
2. Stroke
3. Respiratory depression
4. Intestinal necrosis

Correct answer: 4. Intestinal necrosis

Explanation: Intestinal necrosis, typically of colon or ileum is a rare but fatal complication of Sps.